Imaging modality in PIRAD reporting scheme for prostate glands includes all except:
1. MR spectroscopy
2. Dynamic contrast enhancement
3. Diffusion Weighted MRI
4. T2W imaging

Correct answer: 1. MR spectroscopy

Explanation: Imaging modality employed in PI-RAD reporting scheme for prostate glands include Dynamic contrast enhancement Diffusion Weighted MRI T2W imaging PI - RADS classification Definition Total T2 + DWI + DCE score Total T2 + DWI + DCE + MRS score I Most probably benign 3-4 4-5 II Probably benign 5-6 6-8 III Indeterminate 7-9 9-12 IV Probably malignant 10-12 13-15 V Most probably malignant 13-15 17-20